Triad of Miller Fischer syndrome includes all except
1. Ataxia
2. Areflexia
3. Opthalmoplegia
4. Aphasia

Correct answer: 4. Aphasia

Explanation: Aphasia is not part of triad of Miller Fischer syndrome, which is a variant of Gullaine Barre syndrome.